Male component of pier abutment is placed on
1. Mesial side of pontic
2. Distal side of pontic
3. Mesial side of abutment
4. Distal side of abutment

Correct answer: 1. Mesial side of pontic